Phosphorylation of which amino acid does not occur by protein kinase -
1. Aspargine
2. Threonine
3. Serine
4. Tyrosine

Correct answer: 1. Aspargine

Explanation: Ans. is 'a' i.e., Aspargine Protein kinase mostly add phosphoryl group to a serine, threonine, or tyrosine residues. Some protein kinase target the side chains of histidine, lysine, arginine, aspartic acid and glutamic acid.